Monteggia fracture is
1. Fracture upper ulna + Dislocation of upper radio ulnar joint
2. Fracture upper radius + Radioulnar joint dislocation
3. Lower ulnar fracture + Lower radio-ulnar joint dis- location
4. Lower radius fracture + Lower radio-ulnar joint dislocation

Correct answer: 1. Fracture upper ulna + Dislocation of upper radio ulnar joint

Explanation: (A) Fracture upper ulna + Dislocation of upper radio ulnar joint # MONTEGGIA FRACTURE DISLOCATION:> This is a fracture of the upper-third of the ulna with dislocation of the head of the radius.> It is caused by a fall on an outstretched hand with the forearm forced into excessive pronation (hyperpronation injury)> It may also result from a direct blow on the back of the upper forearm.> Posterior interosseous nerve may be injured> Posterior interosseus nerve is also injured in operations on head of radius.> In this nerve injury wrist drop does not occur since extensor carpi radialis long us and ECR brevis are spared which are supplied by radial nerve.> Sensory deficit also does not occur since posterior cutaneous nerve of forearm supplies forearm skin.> PO nerve is a branch of tadial nerve in cubital fossa, so it can be inured in Monteggia fracture.> Barton's fracture: Distal radius, intra-articular fracture> Chauffeur's fracture: Radial styloid fracture> Colies' fracture: Distal radius, extra-articular 1/2 of the radius with dislocation of distal radio-ulnar joint> Night-stick fracture: Isolated fracture shaft of the ulna> Smith's fracture: distal radius fracture, extra-articular with volar tilt of the distal fragment.# REMEMBER! Mnemonic MUSS stands for Monteggia ; Ulna; Superior 1/3rd ; Supination injury GRIP stands for Galeazzi ; Radius; Inferior 1/3rd ; Pronation injury